Gluconeogenesis is inhibited by?
1. Glucagon
2. Insulin
3. Cholecystokinin
4. 5 alpha hydroxylase synthases

Correct answer: 2. Insulin

Explanation: Gluconeogenesis-Synthesis of glucose from non-carbohydrate precursors. Gluconeogenesis occurs in fasting & starvation and occurs mainly in the liver. Fasting is lack of food for 12-18 hours Starvation is lack of food for 1-3 days or longer Ingluconeogenesis enzymesused are: Pyruvate carboxylase PEPCK (Phosphoenolpyruvate carboxykinase) Fructose 1,6 bisphosphatase Glucose 6-phosphatase All enzymes are activated by Glucagon. And are inhibited by Insulin